Following statements are true about Afrezza except
1. Used for both Type I and Type II diabetes
2. Substitute for long acting insulin
3. It is a rapid acting insulin
4. Used as inhaled insulin formulation and techno-sphere technology

Correct answer: 2. Substitute for long acting insulin

Explanation: Afrezza Approved in 2014 For both Type I and Type II diabetes Available as single-use caridges of 4 and 8 units Is rapid acting inhaled insulin, administered at the beginning of each meal * Inhaled insulin formulation (2.5mm) and technosphere technology Remember: Afrezza Not a substitute for long acting insulin Must be used in combination with long acting insulin in Type I diabetes Not recommended for treatment of Diabetic Ketoacidosis or in patient who smoke. Use restricted in Asthma Active lung cancer Chronic Obstructive Pulmonary Disease